Intermittent dysphagia is caused by? 1. Stricture 2. Reflux esophagitis 3. Achalasia cardia 4. Pharyngeal diverticulum 5. Diffuse esophageal spasm
1. 1,2 & 3
2. 2,3 & 4
3. 4 & 5
4. 3,4 & 5

Correct answer: 3. 4 & 5

Explanation: Intermittent dysphagia Progressive dysphagia Diffuse esophageal spasm Pharyngeal diverticulum Schatzki ring Esophagitis Carcinoma esophagus Stricture Achalasia cardia Also know: Dysphagia more for solid than liquid implies mechanical obstruction (Ca esophagus, stricture, webs) Dysphagia equal for both solid and liquid from the very onset suggests motor disorder i.e achalasia and diffuse esophageal spasm. Ref: Harrison 17/e, Page 239; CMDT 2005, Page 546.